Epipharynx is also called
1. Nasopharynx
2. Oropharynx
3. Laryngopharynx
4. Hypopharynx

Correct answer: 1. Nasopharynx

Explanation: Epipharynx/Nasopharynx The part of the pharynx that lies above the soft palate; anteriorly it opens into the nasal cavities through the choanae; inferiorly, it communicates with the oropharynx through the pharyngeal isthmus; laterally it communicates with tympanic cavities through pharyngotympanic (auditory) tubes. Ref: PL Dhingra, Diseases of Ear, Nose & Throat, 7th edition, pg no. 269 - 270